The mammary gland is which type of gland?
1. Apocrine
2. Merocrine
3. Holocrine
4. Endocrine

Correct answer: 1. Apocrine